The immunosuppressant action of cyclosporin appears to be due to
1. Activation of NK cells
2. Blockade of tissue response to inflammatory mediators
3. Inhibition of Gene transcription of interleukin
4. Interference with antigen recognition

Correct answer: 3. Inhibition of Gene transcription of interleukin

Explanation: Ref-KDT 6/e p838,839,840 Cyclosporine and tacrolimus acts by inhibiting calcineurin, which is involved in the activation of NFAT. Final result of this process is increased transcription of IL-2 gene. Sirolimus does not inhibit the transcription of IL-2 but interferes with its action. It inhibits the enzyme tyrosine kinase, known as mTOR (which is activated by IL-2).